Rasmussen's aneurysm arises from
1. Bronchial artery
2. Pulmonary artery
3. Vertebral artery
4. Posterior intercostals artery

Correct answer: 2. Pulmonary artery

Explanation: Answer is B (Pulmonary Artery): Rasmussen's aneurysm refers. to an aneurysm of the pulmonary artery within/adjacent to a tuberculous cavity Rasmussen's aneurysm This is an aneurysm arising from the pulmonary artery This is typically a `pseudoaneurysm' resulting from inflammatory necrosis of the vessel wall, by direct invasion of the pulmonary arterial wall by adjacent tuberculous infection Typically the vessel injury occurs in the upper lobes of sites of pulmonary tuberculosis Rupture of these aneurysms results in hemoptysis and pulmonary hemorrhage